Closure of the anterior fontanelle is delayed in all except-
1. Down's syndrome
2. Osteogenesis imperfecta
3. Hypogonadism
4. Hypothyroidism

Correct answer: 3. Hypogonadism

Explanation: Ans. is 'c' i.e., Hypogonadism Delayed closure of anterior fontanel / ide (large) anterior fontanel o The anterior fontanel normally closes between 12 to 18 months of age. o The presence of excessively large anterior fontanel and its delayed closure is a recognised clinical feature in following conditions.